True about myxoma is -
1. Mostly seen in left atrium
2. Can metastasize to other sites
3. Rarely recurs after removal
4. Most often seen in right atrium

Correct answer: 1. Mostly seen in left atrium

Explanation: Cardiac myxomas
o Most common primary tumor of the adult heart.
o Benign neoplasms thought to arise from primitive multipotentmesenchymal cells.
o Familial syndromes associated with myxomas have activating mutations in the GNAS1 gene, encoding a subunit of G protein (Gsa) (in association with McCune-Albright syndrome) or null mutations in PRKARIA, encoding a regulatory subunit of a cyclic-AMP- dependent protein kinase (Carney complex).
o About 90% of myxomas arise in the atria, with a left-to-right ratio of approximately 4:1.